True about fospropofol is all except
1. Aqueous phosphorylated prodrug of propofol
2. More prolonged recovery profile than propofol
3. Pain at the injection site was not reported with fospropofol
4. Significantly more respiratory depression than propofol

Correct answer: 4. Significantly more respiratory depression than propofol

Explanation: Pharmacodynamic studies show fospropofol provides clinically useful sedation and EEG/BIS suppression while causing significantly less respiratory depression than propofol.